Normal range of BMI is:
1. 25-29.99
2. 18.5-24.99
3. 18.5-29.99
4. 30-34.99

Correct answer: 2. 18.5-24.99

Explanation: 18.5-24.99